Bagaiossis is seen in:
1. Cement factories
2. Textile industries
3. Sugar cane factories
4. Grain fields

Correct answer: 3. Sugar cane factories

Explanation: Sugar cane factories